Lucid Interval is seen in?
1. Extradural hemorrhage
2. Subdural hemorrhage
3. Subarachnoid hemorrhage
4. All of these

Correct answer: 1. Extradural hemorrhage

Explanation: ANSWER: (A) Extradural hemorrhageREF: Bailey and love 25tn edition page 303, Schwartz's Principles of Surgery 9th edition chapter 42. Neurosurgery,"The classical presentation of an EDH, occurring in less than one-third of cases, is initial injury followed by a lucid interval when the patient complains of a headache but is fully alert and orientated with no focal deficit. After minutes or hours a rapid deterioration occurs, with contralateral hemiparesis, reduced conscious level and ipsilateral pupillary dilatation as a result of brain compression and herniation"